Folding of protein chain is due to :
1. Amide bond
2. Hydrogen bonds
3. Phosphodiesterase bonds
4. Disulphide bond

Correct answer: 2. Hydrogen bonds

Explanation: B i.e. Hydrogen bond